A synthetic “cocktail” vaccine SPf66 has shown potential for the protection against
1. Dengue/ DHF
2. Japanese encephalitis
3. Lymphatic filariasis
4. Falciparum Malaria

Correct answer: 4. Falciparum Malaria

Explanation: SPf 66: A synthetic ‘Lytic Cocktail vaccine’ developed for P. Falciparum has been extensively tested –
Formulated as peptide-alum combination.
– Safe, effective and reduces risk of developing clinics malaria by 30%.